What is amethocaine:
1. It is ester local anesthetic
2. It is other name of tetracaine
3. It is also typically very effective on local application
4. All are true

Correct answer: 4. All are true

Explanation: Amethocaine is an ester local anaesthetic tetracaine. It is a very effective surface anesthetic. Tetracaine, also known as amethocaine, is a local anesthetic used to numb the eyes, nose, or throat. It may also be used before starting an intravenous to decrease pain from the procedure. Typically it is applied as a liquid to the area.